Which of the following is a tumor markers for Hepatocellular carcinoma?
1. AFP
2. CEA
3. HCG
4. CA-125

Correct answer: 1. AFP

Explanation: AFP is the most important tumor marker for HCC. AFP level is elevated in approximately 70% of individuals in Asian countries bearing HCC and 50% of patients in US and Europe. Ref: Sabiston 18/e, Page 582; CSDT 13/e, Page 519.